Dilantoin sodium may cause -
1. Follicular hyperplasia
2. Paracortial hyperplasia
3. Sinus histiocytosis
4. Atrophy of lymph nodes

Correct answer: 2. Paracortial hyperplasia